Pseudofracture or looser's zone is seen in –
1. Osteoporosis
2. Osteopetrosis
3. Osteomalacia
4. Scurvy

Correct answer: 3. Osteomalacia

Explanation: Looser's zone is pathognomonic for osteomalacia. In osteogenesis imperfect (option 'a') it occurs rarely.